Hemagglutinin (AntiA and Anti B) are which type of antibodies -
1. IgG
2. Ig M
3. IgA
4. IgE

Correct answer: 2. Ig M

Explanation: Ans. is 'b' i.e., IgM